A child presented with difficulty in seeing the blackboard in school. His teachers say that he frequently squeezes his eyes. Most probable cause is –
1. Hypermetropia
2. Myopia
3. Presbyopia
4. Astigmatism

Correct answer: 2. Myopia

Explanation: Difficulty in seeing distant object (blackboard) and frequent squeezing of eye are features of myopia.